The structure that lies lateral to distal radial tubercle is ?
1. Extensor pollicis longus
2. Extensor carpi radialis longus
3. Brachoradialis
4. Extensor carpi ulnaris

Correct answer: 2. Extensor carpi radialis longus

Explanation: Ans. is 'b' i.e., Extensor carpi radialis longus Dorum of lower end of radius has dorsal tubercle of radius (Lister's tubercle), which can be palpated in the line with the cleft between the index and middle fingers.The groove medial to Lister's tubercle is traversed by tendon of extensor pollicis longus.The groove lateral to Lister's tubercle is traversed by tendons of extensor carpi radialis longus (ECRL) and extensor carpi radialis brevis (ECRB).